Amacrine cells secrete
1. Acetylcholine
2. Glutamate
3. Adrenaline
4. Noradrenaline

Correct answer: 1. Acetylcholine

Explanation: Amacrine cells secrete neurotransmitters that act as inhibitors like GABA, Glycine, dopamine, acetylcholine, indolamine etc.